The treatment of choice for atticoantral variety of chronic suppurative otitis media is:
1. Mastoidectomy
2. Medical management
3. Underlay myringoplasty
4. Insertion of ventilation tube

Correct answer: 1. Mastoidectomy

Explanation: Ans. A MastoidectomyChronic suppurative otitis media (CSOM) is classified into 2 types viz. tubotympanic disease, in which there is perforation of the pars tensa; and atticoantral disease, in which a retraction pocket develops from the pars flaccida.CSOM of atticoantral type is important because of the complications associated with it.Treatment of this variety is surgical and the 2 commonly applied operations are atticotomy and a modified radical mastoidectomy.